A hypertensive, diabetic is having proteinuria,antihypertensive of choice is -
1. Propanolol
2. Clonidine
3. Enalapril
4. Alpha methyldopa

Correct answer: 3. Enalapril